Benefits of higher lactose content of breast milk are all of the following EXCEPT?
1. Helps in formation of galactocerebrosides
2. Helps in absorption of calcium
3. Helps in decreasing the risk of infections
4. Helps in increasing the growth of lactobacilli

Correct answer: 3. Helps in decreasing the risk of infections

Explanation: Benefits of higher lactose content of breast milk: The galactose helps in formation of galactocerebrosides. Lactose helps in absorption of calcium |growth of lactobacilli in the intestine.